Chromosome associated with familial polyposis coli ?
1. Chromosome 5
2. Chromosome 6
3. Chromosome 11
4. Chromosome 13

Correct answer: 1. Chromosome 5